Drug of choice for absence seizure is?
1. Clonezapam
2. Diazepam
3. Phenytoin
4. Valproate

Correct answer: 4. Valproate

Explanation: Ans. (d) ValproateRef. KDT 6/e, p 408